Which of the following is an advantage of adding adrenaline to lignocaine for local anesthetic injection?
1. Decreases the systemic toxicity
2. Higher doses can be given
3. Duration of action can be prolonged
4. All of the above

Correct answer: 4. All of the above

Explanation: Adrenaline can be added to the LA to Prolong its duration of action To decrease the risk of systemic side effects More dose of LA can be given Lignocaine with adrenaline SHOULD NOT be used for: Areas with end arteries e.g. for ring block of fingers, toes, penis, pinna (absolute contraindication) When an inhalational agent especially halothane which sensitizes myocardium to adrenaline is used. Myocardial ischemic patients Hyperthyroid patient Severe hypertensives Intravenous regional anaesthesia (Bier's block)